The Commonest site of "Diverticulosis" is:
1. Ascending colon
2. Transverse colon
3. Descendin colon
4. Sigmoid colon

Correct answer: 4. Sigmoid colon

Explanation: Sigmoid colon